Which of the following will cause an increase in the prevalence of disease?
1. Immigration of healthy persons
2. Increased cure rate of disease
3. Longer duration of disease
4. Increased death rate in disease

Correct answer: 3. Longer duration of disease

Explanation: Prevalence depends upon 2 factors, the incidence (I) and duration of illness (D). Given the assumption that the population is stable, and incidence and duration are unchanging, the relationship between incidence and prevalence is, P = I* D = Incidence * mean duration Therefore when duration increases prevalence also increases. Ref: Park's Textbook of Preventive and Social Medicine, By K. Park, 19th Edition, Page 57; How to Report Statistics in Medicine By Thomas Allen Lang, 2nd Edition, Pages 165-6